A beta hemolytic bacteria is resistant to vancomycin, shows growth in 6.5% NaCl, is non bile sensitive. It is likely to be
1. Strep. agalactiae
2. Strep. pneumonia
3. Enterococcus
4. Strep. Bovis

Correct answer: 3. Enterococcus